Causative organism of strawberry cervix is
1. Trichomonas
2. Hemophilus
3. Candida
4. Herpes

Correct answer: 1. Trichomonas

Explanation: Trichomonas Vaginitis Vulvar erythema and edema Copious frothy yellow green foul smelling discharge Punctate lesions of cervix-Strawberry cervix Vaginal pH >4.5 Ref: Shaw Gynecology 17 e pg 330.